Protein purification and separation can be done by all except
1. Chromatography
2. Centrifugation
3. Electrophoresis
4. None

Correct answer: 4. None

Explanation: Techniques for protein separation:ChromatographyColumn ChromatographyPaition ChromatographySize Exclusion ChromatographyAdsorption ChromatographyIon Exchange ChromatographyAffinity ChromatographyHigh-Pressure Liquid ChromatographyGas ChromatographyPAGEIEFSalting out with ammonia sulfateRef: Harper 28th Ed. Page-21, Harper 27th Ed. Page: 21